All the following are true regarding Vibrio cholerae except -
1. Transported in acidic medium
2. Gram-negative
3. Aerobic organism
4. Ferments glucose

Correct answer: 1. Transported in acidic medium